Genetic deficiency of complement factor causes:
1. Hereditary angioneurotic edema
2. SLE- an autoimmune disease
3. Pyogenic bacterial infections
4. All of the above

Correct answer: 4. All of the above

Explanation: Ans: d (All of the above) Ref: Ananthanaraya 7th ed, p. 115Deficiency of complement components are associated with a variety of syndromesDeficiencySyndromeCl inhibitorHereditary angoneurotic edema (main mediator of edema is C2 kinin released)C1C2C4SLE & collagen vascular disordersC3 & C3b inactivatorRecurrent pyogenic infectionsC5-8Gram - ve bacteremiaC9No particular diseaseRemember: Treatment of hereditary angioneurotic oedema is infusion of FFP